Street rabies virus cause -
1. Natural rabies
2. Loboratory passage in rabbit
3. Fatal encephalitis in 6 days
4. Negri bodies not seen

Correct answer: 1. Natural rabies

Explanation: street rabies virus isolated from natural human or animal infection.negrie bodies is seen.cause fatal encephalitisafter1-2 weeks REF:ANATHANARAYANAN MICROBIOLOGY NINTH EDITION PAGE.531